Hurthle cell carcinoma differs from follicular carcinoma in all of the following aspects; except:
1. Derived from oxyphil cells of thyroid gland
2. Does not take up radioactive iodine
3. More likely to metastasize through lymph nodes
4. Malignancy is indicated by vascular and capsular invasion

Correct answer: 4. Malignancy is indicated by vascular and capsular invasion